Congenital pit in optic nerve causes ?
1. Macular retinal detachment
2. Visual field defects
3. Central serous retinopathy
4. All of the above

Correct answer: 4. All of the above

Explanation: Ans D - All of the above